Cellulose is not broken due to beta anomerism at:
1. C1
2. C2
3. C5
4. C6

Correct answer: 1. C1

Explanation: Anomerism Different -H and -OH orientation around the functional carbon. C1 is the functional carbon in glucose. Two types of Anomers are - Alpha (a) - at functional carbon, -OH is downwards Beta (b)- at functional carbon, -OH is upwards b-anomers can't be broken in body. Cellulose is made up of glucose joined by b 1-,4 glycosidic bond In glucose functional carbon is at C1 (Aldehyde). So, Cellulose is not broken due to b-anomerism at C1